Flutamide is an:
1. Anti–convulsant
2. Anti–androgen
3. Anti–progestin
4. Anti–oestrogen

Correct answer: 2. Anti–androgen